What is the name of this appearance which is seen in pellagra?
1. Burn
2. Casal's necklace
3. Shawl sign
4. Gottron's papule

Correct answer: 2. Casal's necklace

Explanation: This is Casal's necklace shown in picture, which occurs in Vitamin B3/ Niacin deficiency. Niacin is formed from tryptophan amino acid. So, tryptophan deficiency can lead to Casal's necklace. Pellagra Etiology: Dietary deficiency of Niacin or its precursor tryptophan. C/f: Middle aged persons Pellagra: - (Dermatitis, Dementia, Diarrhea, Death) T/t: Niacinamide 300-500mg/dayorally in divided doses.